Catastrophic reaction is feature of
1. Dementia
2. Schizophrenia
3. Delirium
4. Anxiety

Correct answer: 1. Dementia

Explanation: Dementia is a chronic organic mental disorder. A catastrophic reaction is seen in dementia when beyond confronted with an assignment which is beyond the residual intellectual capacity, patient may go into a sudden rage. (Ref: a short textbook of psychiatry, Niraj Ahuja, 7th edition, pg no.22)